Keratic precipitates are on which layer of cornea-
1. Epithelium
2. Endothelium
3. Stroma
4. Bowman's membrane

Correct answer: 2. Endothelium

Explanation: Keratic precipitates (KPs) are proteinaceous cellular deposits occurring at the back of cornea (inner layer, ie.,endothelium).